Allof the following are used in the management of acute myocardial infarction Except:
1. Aspirin
2. Heparin
3. Alteplase
4. Warfarin

Correct answer: 4. Warfarin

Explanation: Answer is D (Warfarin) Warfarin is not indicated in the immediate management of Acute myocardial infarction. Warfarin is the single best answer of exclusion. Aspirin and Heparin are used in early treatment of Acute Myocardial infarction to prevent thrombosis. Alteplase or Tissue Plasminogen Activator is a thrombolystic agent and is indicated early in the treatment of STEMI.